All of the following vaccine preventable diseases are covered under Mission Indradhanush except:
1. Measles
2. Tuberculosis
3. Hepatitis B
4. Meningococcal meningitis

Correct answer: 4. Meningococcal meningitis

Explanation: Ref. Foundations of Community medicine. Page. 541
 
Mission Indradhanush is a health mission of the government of India. It was launched on 25 December 2014.

It aims to immunize all children under the age of 2 years, as well as all pregnant women, against seven vaccine preventable diseases. The diseases being targeted are diphtheria, whooping cough, tetanus, poliomyelitis, tuberculosis, measles and Hepatitis B.
Vaccines for Japanese Encephalitis and Haemophilus influenzae type B are also being provided in selected states.
In 2016, four new additions have been made namely Rubella, Japanese Encephalitis, Injectable Polio Vaccine Bivalent and Rotavirus.
In 2017, pneumonia was added to the Mission by incorporating Pneumococcal conjugate vaccine